Antisperm antibody testing is not needed if the sperm are to be used for-
1. ICSI
2. GIFT
3. ZIFT
4. IVF

Correct answer: 1. ICSI

Explanation: Antisperm antibody testing is not needed if the sperm are to be used for Intracytoplasmic sperm injection (ICSI). Antisperm antibody testing Using the immunobead test, washed spermatozoa are exposed and assessed for binding to labeled beads. In the mixed agglutination reaction, human red blood cells sensitized with human immunoglobulin G (IgG) are mixed with the partner's semen. Spermatozoa that are coated with antibodies form mixed agglutinates with the red blood cells Anti sperm antibodies cause agglutination of sperms and hence the sperms are'nt free to move and feilise the oocyte. This test is therfore important before ART procedures except ICSI because here the sperm is directly injected into the oocyte cytoplasm.